Drug of choice for treatment of intrahepatic cholestasis in pregnancy is ?
1. Ursodeoxycholic acid
2. Dexamethasone
3. Antihistamines
4. Cholestyramine

Correct answer: 1. Ursodeoxycholic acid

Explanation: Ursodeoxycholic acid decreases bile salt levels and relieves pruritus. It can also decrease the chance for fetal complications Ref : Dutta book of obstetrics 8th Ed